Phatom limb is an example of disorder of -
1. Thought
2. Perception
3. Cognition
4. None of the above

Correct answer: 2. Perception

Explanation: Ans. is 'b' i.e.. Perception Phantom limb:o The person feels his body parts intact in their respective places even after they are lost through amputation or injury.o This is a special type of hallucination.o Hallucination is a disorder of perception. In it there is an internal perception without a real external stimulus, o Thus phantom limb is also a disorder of perception.